Disorders of phagocytosis are all, except:
1. Job's syndrome
2. Chediak-Higashi syndrome
3. Myeloperoxidase deficiency
4. Wiskott-Aldrich syndrome

Correct answer: 4. Wiskott-Aldrich syndrome

Explanation: Ans. (d) Wiskott-Aldrich syndrome Ref. Anantlumarayan 9/e, p 172 Disorders of phagocytosis Chronic granulomatous disease Myeloperoxidase deficiency Chediak-Higashi syndrome Leukocyte G6PD deficiency Job's syndrome Tuftsin deficiency Lazy leukocyte syndrome Hyper-IgE syndrome Actin binding protein deficiency Shwachman's disease